In retroverted gravid Uterus, Urinary retention usually appears at :
1. 6-8 weeks
2. 8-10 weeks
3. 12-14 weeks
4. 20-24 weeks

Correct answer: 3. 12-14 weeks

Explanation: 12-14 weeks